Most effective HDL raising drug is:
1. Omega three fatty acids
2. Niacin
3. Fenofibrate
4. Rosuvastatin

Correct answer: 2. Niacin

Explanation: Niacin is the most effective HDL raising drug currently available. Niacin is the only drug currently available that lowers Lipoproteinp(a), and can be considered as an addition to a statin in patient with elevated Lp(a). Statins have a modest HDL-raising effect (5-10%). Fibrates are the most effective drugs available for reducing triglyceride levels and also raise HDL-C levels modestly. Omega three fatty acids are also effective in raise HDL level. Ref: Harrisons principles of internal medicine, 18th edition, Page: 3161